Cell of origin of hairy cell leukemia is -
1. B-cell
2. T-cell
3. NK-cell
4. Dendritic reticulum cell

Correct answer: 1. B-cell

Explanation: Hairy cell leukaemia is an unusual & uncommon form of B cell malignancy characterized by presence of hairy cells in the blood & bone marrow & splenomegaly.Hairy cells are abnormal mononuclear cells with hairy cytoplasmic projections which are seen in blood,bone marrow & spleen.These cells exhibit CD19,CD20 & CD22 antigen.Reference: Harsh mohan textbook of pathology 6 th edition pg no 379